In triage green color indicates:
1. Emergency treatment.
2. Delayed treatment.
3. Minimal treatment.
4. No treatment.

Correct answer: 3. Minimal treatment.